A baby girl with ambiguous genitalia is found to have 21-hydroxylase deficiency of the salt-wasting type.Which of the following karyotypes would you expect to find?
1. 46, XX
2. 46, XY
3. 47, XXY
4. 47, XYY

Correct answer: 1. 46, XX

Explanation: . 46, XX